Pressure created in vacuum is -
1. 12 kgs
2. 0.2 kg/cm2
3. 0.8 kg/cm2
4. 18 kgs

Correct answer: 3. 0.8 kg/cm2

Explanation: Ans. is 'c' i.e., 0.8 kg/cm2 * When using rigid cups, it is recommended that the vacuum be created gradually by increasing the suction by 0.2 kg/cm2 every 2 min until a negative pressure of 0.8 kg/cm2 (600 mm Hg) is reached. With soft cups, negative pressure can be increased to 0.8 kg/cm2 within 1 min.Differences between forceps and vacuumForcepsVacuumTraction force = +18 kg for primi, +13 kg for multiNegative pressure = 0.8 kg/cm2 (600 mm Hg)Cervix should be fully dilatedMinimum 7 cm dilationLess fetal but more maternal complicationsMore fetal but less maternal complicationsPreferred in fetal distressLess preferred (as vacuum takes time to build up)Rotation forceps not applied nowadaysVacuum causes rotation and extractionCan be applied on face presentation and after-coming head of breechCannot be applied on face presentation and after coming head of breechCan be applied on preterm fetusContraindicated on preterm fetus (increased risk of intraventricular hemorrhage)Can be applied in cases of fetal coagulopathy and if recent scalp blood sampling has been doneContraindicated in cases of fetal coagulopathy and if recent scalp blood sampling has been doneCan be applied in cases of IUFDShould not be applied as chignon formation will not occur in IUFD